Which of the following does not establish a diagnosis of congenital CMV infection in a neonate –
1. Urine culture of CMV
2. IgG CMV antibodies in blood
3. Intra–nuclear inclusion bodies in hepatocytes
4. CMV viral DNA in blood by polymerase chain reaction

Correct answer: 2. IgG CMV antibodies in blood